Shovel shaped pulp chamber is found in:
1. Maxillary central incisor
2. Maxillary lateral incisor
3. Mandibular central incisor
4. Mandibular lateral incisor

Correct answer: 1. Maxillary central incisor

Explanation: Maxillary central incisor → pulp is shovel shaped + has pulp horn.